Renal tuberculosis is characterised by -
1. Loin pain
2. Painful hematuria
3. Sterile pyuria
4. Constitutional symptoms

Correct answer: 3. Sterile pyuria